The most common elbow injury in children is
1. Extension type of supracondylar fracture of humerus
2. Dislocation of elbow
3. Fracture lateral condyle of humerus
4. Fracture medial epicondyle of humerus

Correct answer: 1. Extension type of supracondylar fracture of humerus

Explanation: A i.e. Extension type of supracondylar fracture